Notching of ribs occurs in all EXCEPT:
1. Coarctation of aorta
2. Neurofibromatosis
3. Hypothyroidism
4. Osteogenesis imperfecta

Correct answer: 3. Hypothyroidism

Explanation: ANSWER: (C) HypothyroidismREF: Chapman page 57CAUSES OF RIB NOTCHINGSuperiorInferior* Polio* Coarctation of aorta* Osteogenesis imperfecta* Pulmonary oligemia/A-V malformation* Restrictive lung disease* Aortic thrombosis* Neurofibromatosis* Subclavian obstruction* Marfan's syndrome* Taussig blalock operation* Connective tissue disorders - RA, scleroderma, SEE* Hyperparathyroidism